Prokaryotes have all, except
1. Rigid cell wall
2. Flagella
3. Ribosomes
4. Well defined Nuclear membrane

Correct answer: 4. Well defined Nuclear membrane

Explanation: Prokaryotic cells have Cell wall, Cell membrane, ribosome, Nucleoid. BUT Nuclear membrane, nucleolus, endoplasmic reticulum, mitochondria are absent Ref: Ananthanarayana textbook of Microbiology 9th edition Pgno : 9